Most common cause of urethral structure is
1. Infection
2. Trauma
3. Conjenital
4. None of the above

Correct answer: 2. Trauma

Explanation: Most common cause of urethral structural is trauma >> infection.